Which is most economical and best screening
1. Mass screening
2. High risk screening
3. Multiphasis screening
4. Any of the above

Correct answer: 2. High risk screening

Explanation: Ref:Parks 23rd edition pg 137 High-risk or selective screening : Screening will be most productive if applied selectively to high-risk groups, the groups defined on the basis of epidemiological research. Types of screening : Mass screening. High-risk or selective screening. Multi-phasic screening.